Child survival index is the percentage of children surviving till the age of -
1. 1 year
2. 3 years
3. 5 years
4. 15 years

Correct answer: 3. 5 years

Explanation: park's textbook of preventive and social medicine 23rd edition. *child survival index:the basic measurement of infant and child survival is the under 5 mortality.A child survival rate per 1000 birth can be simply calculated by subtracting the under 5 mortality rate from 1000 dividing this figures by 10 shows the percentage of those who survive to the age of 5 year.